Which of the following is not an agency for vision 2020 program
1. WHO
2. UNESCO
3. ORBIS
4. Sight Savers International

Correct answer: 2. UNESCO

Explanation: UNESCO is not a participant for vision 2020 program Vision 2020-Right to Sight Initiative